. A case control study is not characterized by -
1. Cases with the disease are compared to controls without the disease -
2. Assessment of past exposure may be blased
3. Definition of cases may be difficult
4. Incidence rates may be computed directly

Correct answer: 4. Incidence rates may be computed directly